Western blot technique is done for
1. Mitochondrial RNA
2. Double strand DNA
3. r- RNA
4. Protein

Correct answer: 4. Protein

Explanation: D i.e. Protein